False about erythema nodosum:
1. Trunk is the most common site for these lesions
2. The initial lesion is red and later turns blue
3. It can occur in Sarcoidosis
4. The lesions are painful

Correct answer: 1. Trunk is the most common site for these lesions

Explanation: Erythema nodosum is characterized by tender, painful. erythematous. nodular eruption commonly over shin bone. Trunk is not affected commonly. On histopathology septal panniculitis is detected. Nodules never ulcerate, regress within 3-6 weeks to leave behind post inflammatory hypes pigmentation.